Trigone of bladder is derived from ?
1. Mesonephric duct
2. Paramesonephric duct
3. Absorbed anal membrane
4. Mullerian duct

Correct answer: 1. Mesonephric duct

Explanation: Mesonephric duct